Which of the following is a glycopeptide antibiotic -
1. Vancomycin
2. Penicillin
3. Clindamycin
4. Tetracycline

Correct answer: 1. Vancomycin

Explanation: Ans. is 'a' i.e., Vancomycin Vancomycin and Teicoplanin are glycopeptide antibiotics.